A mature uniocular cataract in a 3-year-old child:
1. Will require refraction
2. May be absorbed
3. Should be removed
4. Should he left as such

Correct answer: 3. Should be removed

Explanation: Ans. Should be removed